CSF is absorbed by -
1. Choroid plexus
2. Sub-arachnoid granulations
3. Dura matter
4. Pia matter

Correct answer: 2. Sub-arachnoid granulations

Explanation: Answer- B. Sub-arachnoid granulationsCSF is produced by the choroid villi in the lateral ventricles and third ventricles.CSF is reabsorbed the arachnoid granulations back into the blood stream.